What are inclusions in oligodendrogliocytes a feature of?
1. Creutzfeld -Jakob disease
2. CIDP
3. HSV
4. Progressive multifocal leukoencephalopathy

Correct answer: 4. Progressive multifocal leukoencephalopathy

Explanation: . Progressive multifocal leukoencephalopathy